Order of development of secondary sexual characteristic in male:
1. Testicular development pubic hair --> axillary hair --> beard
2. Pubic hair --> testicular development --> axillary hair --> beard
3. Testicular development beard --> pubic hair --> axillary hair
4. Axillary hair --> pubic hair --> beard --> Testicular development

Correct answer: 1. Testicular development pubic hair --> axillary hair --> beard

Explanation: Ans. A i.e. Testicular development --> pubic hair axillary hair --> beard